Acantholysis is seen in:
1. Psoriasis
2. Pemphigus vulgaris
3. Lichen planus
4. Pityriasis versicolor

Correct answer: 2. Pemphigus vulgaris

Explanation: Ans: B i.e. Pemphigus vulgarisDermatologic conditions and featuresPsoariasis is a chronic dermatosis characterized by presence at typical sites of well defined erythematous papules and plaques, which are surmounted with large, silvery loose scales.Pemphigus is an intraepidermal bullous disorder, which is characterized clinically by presence of cutaneous and mucosal blisters and histologically by acantholysis (due to deposition of intercellular antibodies)Lichen planus is characterized by 5P's; Pruritic, polygonal, purple (violaceous), plane (flat topped), papules with Wickham's striae on surfacePityriasis versicolor features include perifollicular, hypopigmented (or hyperpigmented), macules surmounted with branny scales